Therpeutic drug monitoring is particularly useful for which of the following drug/s?
1. Lithium
2. Aminoglycoside antibiotics
3. Anticonvulsants
4. All the above

Correct answer: 4. All the above

Explanation: Ans. is 'd' i.e., All the above Therapeutic drug monitoring is particularly useful in following situations:1. Drugs with low safety margin -a) Digoxinb) Anticonvulsantsc) Antiarrythmicsd) Theophyllinee) Aminoglycoside antibioticsf) Lithiumg) Tricyclic antidepressants2. If individual variations are large -> Antidepressants, Lithium3. Potentially toxic drugs used in presence of renal failure -> Aminoglycoside antibiotic vancomycin, cyclosporine4. In case of poisoning5. In case of failure of response without any apparent reason -> antimicrobials6. To check patient compliance ->> psycho-pharmacological agents.* Drugs whose response is easily measurable eg. hypoglycaemics (metformin), antihypertensive, diuretics, oral anticoagulants and general anaesthetics, monitoring of plasma cone, is of no value.